Epstien Barr virus causes all the following except:
1. Infectious mononucleosis
2. Measles
3. Nasopharyngeal carcinoma
4. Non-Hodgkins lymphoma

Correct answer: 2. Measles

Explanation: Ans. (b) Measles